Acidophils secrete
1. GH
2. TSH
3. ACTH
4. FSH

Correct answer: 1. GH

Explanation: Acidophils are one of the hormone-producing acidophilic cells of the adenohypophysis; types include coicotrophs, lactotrophs, lipotrophs, and somatotrophs. Called also alpha cell. Ref: guyton and hall textbook of medical physiology 12 edition page number:550,551,552